Lyre sign in seen in
1. Grave's disease
2. Meniere's disease
3. Lateral sinus thrombosis
4. Carotid body tumour

Correct answer: 4. Carotid body tumour

Explanation: Lyre sign is an angiographic finding seen in carotid body tumour of the neck. There is splaying apart of internal and external carotid arteries on angiogram. Ref: Diseases of Ear, Nose and Throat by P.L. Dhingra, 9th edition, p460.